One of the following is an example of painless midline swelling -
1. Branchial cyst
2. Thyroglossal cyst
3. Cystic hygroma
4. Carotid body tumour

Correct answer: 2. Thyroglossal cyst